Which of the following is given to treat thrombocytopenia secondary' to anti-cancer therapy and is known to stimulate progenitor megakaryocytes?
1. Filgrastim
2. Oprelvekin
3. Erythropoietin
4. Anagrelide

Correct answer: 2. Oprelvekin

Explanation: Ans. is 'b' i.e., Oprelvekin o Oprelvekin (1L-11) is used to prevent and treat thrombocytopenia.